Sinus bradycardia is seen in:
1. Athletes
2. Exercise
3. Thyrotoxicosis
4. Beta adrenoceptor agonist

Correct answer: 1. Athletes

Explanation: Sinus tachycardia is associated with a sinus rate of more than 100/min. The various causes are,

Anxiety
Fever
Exercise
Emotion
Anaemia
Thyrotoxicosis
Beta adrenoceptor agonists

Sinus bradycardia is associated with a sinus rate of less than 60/min and is seen commonly in athletes.

Myocardial infarction
Hypothyroidism
Cholestatic jaundice
Raised intracranial pressure
Beta-blockers
Digoxin
Verapamil